Drugs used for rare diseases are known as
1. Orphan drugs
2. Rare drugs
3. Radioactive isotopes
4. Alkylating agents

Correct answer: 1. Orphan drugs

Explanation: An orphan drug is a pharmaceutical agent developed to treat medical conditions which, because they are so rare, would not be profitable to produce without government assistance. The conditions are referred to asorphan diseases Refer 6/e p6